Day light factor in living room should be?
1. 8%
2. 6%
3. 10%
4. 15%

Correct answer: 1. 8%

Explanation: park's textbook of preventive and social medicine 23rd edition. *daylight factor is the ratio of illumination at a given point to illumination at a point exposed simultaneously to the whole hemisphere of the sky excluding direct sunlight * it is recommended that in living room D.F. should be atleast 8%and in kichen about 10%.